Accessory canal occurs in how many distinct patterns in the mandibular first molars?
1. 1
2. 2
3. 3
4. 4

Correct answer: 3. 3

Explanation: Refer Extended FB session held on april 6